Drugs causing constipation are All except
1. Verapamil
2. Quinidine
3. MAO inhibitor
4. Tricyclic antidepressants

Correct answer: 2. Quinidine

Explanation: Refer kDT 6/e p530,655 drugs causing constipation are Verapamil MAO inhibitor Tricyclic antidepressants Ferrous sulfate other important drugs which cause constipation are Ganglion blockers Opioid Calcium carbonate Sedatives Anti histamine Laxative abuse itself Quinidine causes diarrhoea